Treatment of choice for acute panic attacks is -
1. Barbiturates
2. Benzodiazepines
3. TCAs
4. MAO inhibitors

Correct answer: 2. Benzodiazepines

Explanation: Ans. is 'b' i.e. Benzodiazepines Treatment of Panic disorderso Two most effective treatment are:1) Pharmacotherapy:- The cornerstone of drug therapy is andidepressants. SSRIs (Fluoxetine or other) are the preferred agents. Because therapeutic effect of antidepressants takes some time to develop, intially Benzodiazepines are given along with antidepressants to provide immediate relieffrom anxiety and panic attack. So, DOC of acute panic attack is benzodiazepine.Drug used for Panic disordersSSRIs:- Fluoxetine, Paroxetine, Sertaline, Fluvoxamine, Citalopram.TCAs:- Clomipramine, imipramineBZDs:- Alprazolam, Clonazepam, Diazepam, Lorazepam.MAOIs - Tranylcypromine, PhenelzineRIMAs:- Moclobemide, BrofaramineAtypical antidepressants:- VenalafaxineOther:- Valproic acid, inositol.2) Cognitive - Behavioral therapy:- Combination of cognitive or behavioral therapy with pharamacotherapy is more effective than either approach alone.o Other therapies include family therapy, insight-oriented psychotherapy (psychoanalysis and psychodynamic therapy).Remembero Drug of choice for panic disorders - SSRIso Drug of choice for acute panic attack - Benzodiazepines